Most common cause of mass in posterior mediastinum in children –
1. Rhabdo sarcoma
2. Duplication cyst of oesphagus
3. Lymphoma
4. Neuroblastoma

Correct answer: 4. Neuroblastoma

Explanation: "Most common posterior mediastinal masses in children are neurogenic tumors".
 Posterior mediastinal mass in children
1) Neurogenic tumors (Most common)                      
2) Foregut cyst (Second most common)
3)   Lymphoma (Third most common)                     
4) Germ cell tumors
5)   Lymphangiomas and agiomas

Mediastinal neurogenic tumors are
❑ Mediastinal neuroblastoma
❑ Ganglioneuroma                                                                                                          
❑ Ganglioneuroblastoma
❑ Schwannoma      
❑ Mediastinal pheochromocytoma